A 20-year-old man presented with hemorrhagic colitis. The stool sample grew Escherichia coli in pure culture. The following serotype of E.coli is likely to be a causative agent -
1. O157:H7
2. O159:H7
3. O107:H7
4. O55:H7

Correct answer: 1. O157:H7

Explanation: Enterohemorrhagic E.coli dysentery can lead to complications like hemorrhagic uremic syndrome and hemorrhagic colitis.
Serotypes’ associated with EHEC are O157:H7 and O26:H1
Similar illness also produced by Shigella dysenteriae type1